Bradykinin causes:
1. Vasoconstriction
2. Pain at the site of inflammation
3. Bronchodilation
4. Decreased vascular permeability

Correct answer: 2. Pain at the site of inflammation

Explanation: Bradykinin acts in the early stage of inflammation and its effects include:

Smooth muscle contraction
Vasodilatation
Increased vascular permeability
Pain.

Mohan H. Textbook of pathology. Jaypee Brothers Medical Publishers; 2015. Page: 126